which of the following is also called as milk sugar
1. mannose
2. glucose
3. galactose
4. lactose

Correct answer: 4. lactose

Explanation: Lactose is the milk sugar; a disaccharide made of galactose and glucose.
Reference: Vasudevan 7th  ed, pg 77